Dennie morgon lines seen in
1. Atropic Rhinitis
2. Allergic Rhinitis
3. Adenoid facies
4. Rhinophyma

Correct answer: 2. Allergic Rhinitis